All of the following muscles take their origin from the outer surface of the mandible EXCEPT:
1. Buccinator
2. Depressor anguli oris
3. Mentalis
4. Platysma

Correct answer: 4. Platysma